Statins are given at night because -
1. HMG-CoA reductase activity is maximum in midnight
2. Statins are maximally absorbed in night
3. Statins have more potency in night
4. Convenient for patient to remember

Correct answer: 1. HMG-CoA reductase activity is maximum in midnight

Explanation: Ans. is 'a' i.e., HMG-CoA reductase activity is maximum in midnight o Because HMG-CoA reductase activity is maximum at midnight, all statins are administered at bed time to obtain maximum effectiveness. However, this is not necessary for atorvastatin and rosuvastatin, which have long plasma t1/2.